A 30 year old woman with a bad obstetric history presents with fever. The blood culture from the patient grows gram-positive small to medium coccobacilli that are pleomorphic, occurring in short chains. Direct wet from the culture shows tumbling motility. The most likely organism is -
1. Listera monocytogenes
2. Corynebacterium sp
3. Enterococcus sp.
4. Erysipelothrix rhusiopathiae

Correct answer: 1. Listera monocytogenes

Explanation: . Ans. is 'a' i.e., Listera monocytogenes . The important clues in this question are . Organisms are gram positive coccobacilli . Organisms are pleomorphic and occuring in short chains. . There is tumbling motility. . All these are the features of Listeria monocytogens. . Corynebacteria are gram positive bacilli (not coccobacilli) and are nonmotile. . Enterococci (group ' d' streptococci) are gram positive cocci (not coccobacilli) and are non motile.